Inverted fir tree appearance on gelatin stab is characteristic of ?
1. Mycoplasma
2. Bacillus anthracis
3. Clostridium
4. Bacteriodes

Correct answer: 2. Bacillus anthracis